Mirizzi's syndrome is:
1. GB stone compressing common hepatic duct
2. GB carcinoma invading IVC
3. GB stone causing cholecystitis
4. Pancreatic carcinoma

Correct answer: 1. GB stone compressing common hepatic duct

Explanation: Mirizzi's Syndrome (Functional Hepatic Syndrome) Obstruction of the common hepatic duct or CBD by external compression or by erosion of stone in the Hartmann pouch or cystic duct